Rocky mountain spotted fever is caused by-
1. Rrickettsii
2. Rtyphi
3. Rconorii
4. Rakari

Correct answer: 1. Rrickettsii

Explanation: Ans. is 'a' i.e., R rickettsii DiseaseAgentInsect vectorMammalian reservoir1. Typhus groupa. Epidemic typhusb. Murine typhus (Endemic typhus)c. Scrub typhusR. prowazekiiR. typhiR. tsutsugamushiLouseFleaMiteHumansRodentsRodents2. Spotted fever groupa. Indian tick typhusb. Rocky mountain spotted feverc. Rickettsial poxR.conoriiR.rickettsiiR. akariTickTickMiteRodents, dogsRodents, dogsMice3. Othersa. Q feverb. Trench feverC.burnetii Rocholimaca quintanaNilLouseCattle, sheep, goats.Humans